Neurofibrillary tangles with senile plaques are seen in -
1. Parkinson's disease
2. Alzheimer's disease
3. Schizophrenia
4. Tuberous sclerosis

Correct answer: 2. Alzheimer's disease

Explanation: Neurofibrillary tangles with senile plaque are characteristic of Alzheimer's disease. You should keep in mind that neurofibrillary tangles are not unique to Alzheimer's disease; they also occur in own syndrome, dementia pugilistica (punch drunk syndrome), Parkinson - dementia complex, hallervorden - Spatz disease, and Normally in old age. However, in these conditions, neurofibrillary tangles are without senile plaques.